The drug of choice for prompt relief of an ongoing attack of angina precipitated by exercise or emotional stress is:
1. Propranolol
2. Verapamil
3. Sublingual nitroglycerin
4. Sublingual nifedipine

Correct answer: 3. Sublingual nitroglycerin